Which of the following is the most common cause of “reversible” dementia in geriatric population?
1. Depression
2. Normal Pressure Hydrocephalus
3. Hypothyroidism
4. Vit B12 deficiency

Correct answer: 1. Depression

Explanation: Depression
(ref : pg 189 Clinical Practice guidelines JK Trivedi)